A 28 years old lady with bilateral buccal reticulate white streak. Pain increases on intake of spicy food intake and patient gives no h/o tobacco but shows amalgam on 3rd molar. What is the diagnosis?
1. Candida
2. Leukoplakia
3. Aphthous ulcer
4. Lichen planus

Correct answer: 4. Lichen planus

Explanation: Clinical features of oral lichen planus: Reticular lichen planus: a. Symmetrical white lace-like pattern on buccal mucosa b. May affect tongue or gums and may ulcerate. Atrophic/erosive lichen planus: a. Red lesions often with a whitish border b. My cause erosions c. Most often affects the gums (gingiva and lips) d. Can be very painful Plaque type: Usually seen in smokers Mucosal lesions may be asymptomatic or complain of burning sensation especially on eating spicy food. Candidiasis cause white plaques, intense itching, and some pain with fissure formation. However, the surrounding mucosa is typically intensely erythematous. Leukoplakia is a condition in which thick, white or grayish patches form usually inside mouth. Smoking is the most common cause. In this case as there is no h/o smoking so leukoplakia is ruled out. Aphthous ulcer is recurrent round or oval sore or ulcer inside the mouth, inside of the lips and cheeks or underneath the tongue.